The most likely cause of bihilar lymphadenopathy
1. Histoplasmosis
2. Tuberculosis
3. Sarcoidosis
4. Aspergillosis

Correct answer: 3. Sarcoidosis

Explanation: Sarcoidosis is a multi system granulomatous disorder of unknown etiology characterised by the presence of non-caseating granulomas.The definitive feature of Sarcoidosis in a chest X ray is bilateral hilar lymphadenopathy.Lofgren's syndrome is an acute illness characterised by erythema nodosum,peripheral arthropathy,uveitis,bilateral hilar lymphadenopathy,lethargy and occasionally fever. Reference:Davidson' s Medicine-22 nd edition,page no:710 & Harrison